Inverted papilloma of nose arise from -
1. Nasal septum
2. Roof of the nose
3. Tip of the nose
4. Lateral wall of the nose

Correct answer: 4. Lateral wall of the nose

Explanation: Ans. is 'd' i.e., Lateral wall of the nose Inverted Papilloma (Transitional cell papilloma/Schneiderion papilloma)o Inverted papilloma is a benign neoplasm occurs mostly between 40-70years with male preponderance (5 : 1).o It arises from the lateral wall of nose and is always unilateral. Rarely, it may arise from nasal septum,o Features of inverted papilloma are : -It shows finger like epithelial invasions into the underlying stroma of the epithelium rather than on surface so called inverted papilloma.It is usually unilateral and is a locally aggressive tumour.Patients complain of nasal obstruction, rhinorrhea & unilateral epistaxis.In 10-15% cases there may be associated squamous cell carcinoma.o Treatment is adequate local excision. If it arises in maxillary sinus, then a radical antrostomy is carried out. If it arises in the ethmoidal sinus, an external ethmoidectomy is done. If it arises from nose, treatment is wide surgical excision by lateral rhinotomy.o Has a tendency to recur even after removal.